Pregnancy is contraindicated in which of the following cardiovascular condition?
1. Pulmonary arterial hypertension
2. Prosthetic valve
3. Mitral stenosis
4. Marfan's syndrome with aortic dilatation < 4cm

Correct answer: 1. Pulmonary arterial hypertension

Explanation: World Health Organization (WHO) Risk Classification of Cardiovascular Disease and Pregnancy with Management RecommendationsWHO 1--Risk no higher than general population Uncomplicated, small, or mild: Pulmonary stenosis Ventricular septal defect Patent ductus arteriosus Mitral valve prolapse with no more than trivial mitral regurgitation Successfully repaired simple lesions: Ostium Secundum atrial septal defect Ventricular septal defect Patent ductus arteriosus Total anomalous pulmonary venous drainage Isolated ventricular extrasystoles and atrial ectopic beatsWHO 2--Small increase in risk of maternal mortality and morbidity If otherwise uncomplicated:Unoperated atrial septal defectRepaired Fallot tetralogyMost arrhythmiasWHO 2 or 3--Depends on individual case Mild left ventricular impairment Hypertrophic cardiomyopathy Native or tissue valvular heart disease not considered WHO 4 Marfan syndrome without aortic dilation Heart transplantationWHO 3--Significantly increased risk of maternal mortality or expert cardiac and obstetrical care requiredMechanical valveSystemic right ventricle--congenitally corrected transposition, simple transposition post Mustard or Senning repairPost-Fontan operationCyanotic heart diseaseOther complex congenital heart diseasesWHO 4--Very high risk of maternal mortality or severe morbidity; pregnancy contraindicated and termination discussedPulmonary arterial hypertensionSevere systemic ventricular dysfunction (NYHA III-IV or LVEF <30%)Previous peripartum cardiomyopathy with any residual impairment of left ventricular functionSevere left heart obstructionMarfan syndrome with aorta dilated >40 mmReference: William's obstetrics; 25th edition; Chapter 49; Cardiovascular Disorders